In which of the following delusion of infidelity is seen?
1. De Clerambault' S syndrome
2. Othello syndrome
3. Couvade syndrome
4. Ekbom's syndrome

Correct answer: 2. Othello syndrome

Explanation: Ans. B. Othello syndromePathological jealousy, also known as Morbid jealousy, Othello syndrome or delusional jealousy, is a psychological disorder in which a person is preoccupied with the thought that their spouse or sexual partner is being unfaithful without having any real proof, along with socially unacceptable or abnormal behavior related to these thoughts. The most common cited forms of psychopathology in morbid jealousy are delusions. It is considered a subtype of delusional disorder